Bottle mouth syndrome is most frequently seen in :
1. Deciduous maxillary incisors.
2. Deciduous mandibular incisors.
3. Deciduous maxillary molars.
4. Deciduous mandibular molars.

Correct answer: 1. Deciduous maxillary incisors.

Explanation: Nursing bottle caries is also known as Bottle mouth syndrome.